Red pigment producing bacteria is
1. Escherichia coli
2. Bordetella parapertussis
3. Pseudomonas aeruginosa
4. Serratia marcescens

Correct answer: 4. Serratia marcescens

Explanation: Serratia forms characteristic pink,red or magenta non diffusible pigment called prodigosin which is optimally formed at room temperature. Ref: anantnarayan and panikers 10 th edition